Which vitamin is required for transfer of 1-carbon unit ?
1. Vitamin A
2. Folic acid
3. Vitamin B12
4. Niacin

Correct answer: 2. Folic acid

Explanation: Ans. is 'b' i.e., Folic acid